Now-a-days, the selective serotonin re-uptake inhibitors are the preferred drugs for which of the following psychiatric disorder apart from their role in the treatment of depression:
1. Phobias
2. Obsessive compulsive disorder
3. Post-traumatic stress disorder
4. All of the above

Correct answer: 4. All of the above

Explanation: Clinical application of SSRI's: 1. Major depressive Disorder (MDD) 2. Anxiety disorder 3. Panic Disorder 4. Obsessive compulsive disorder 5. Post traumatic stress disorder 6. Peri-menopausal vasomotor symptoms 7.Eating disorders (Bulimia) SSRI are the first line agent in treatment of both MDD and anxiety disorders